Lactobacilli are numerous in carious lesions because they
a They are the main causative agent
b can produce insoluble extracellular polysaccharides
c can attach to smooth enamel surfaces
d are more violently cariogenic for animals than Streptococcus mutans
e are secondary invaders
1. abcd are false e is true
2. abc are false d e are true
3. ab are false c d e are true
4. a is false bcde are true

Correct answer: 1. abcd are false e is true